All of the following drugs are used as immunosuppressants EXCEPT:
1. Glucocorticoids
2. Cyclosporine
3. Cephalosporin
4. Azathioprine

Correct answer: 3. Cephalosporin

Explanation: 1 . Calcineurin inhibitors (Specific T-cell inhibitors) Cyclosporine (Ciclosporin), Tacrolimus 2. Antiproliferative drugs (Cytotoxic drugs) Azathioprine, Cyclophosphamide, Methotrexate, Chlorambucil, Mycophenolate mofetil (MMF) 3. Glucocorticoids Prednisolone and others 4. Antibodies Muromonab CD3, Antithymocyte globulin (ATG) Rho(D) immunoglobulin, etc Whereas cephalosporins come under Beta-Lactam antibiotics which are related to penicillins ESSENTIALS OF MEDICINE PHARMACOLOGY SIXTH EDITION -K. D TRIPATHI Page 851 IMMUNOSUPPRESSANT